All are true in HELL P syndrome except-
1. Hemolysis
2. Elevated liver enzymes
3. Low platelets
4. Develops only in the cases of maternal hypertension

Correct answer: 4. Develops only in the cases of maternal hypertension

Explanation: Ans. is 'd' i.e., Develops only in the cases of maternal hypertension HELLP Syndromeo It is an acronym for hemolysis (H) elevated liver enzymes (EL) and low platelets (LP) (<l,00,000/mm3).o This is a rare complication of pre eclampsia (10-15%).o It may also develop even in patients without maternal hypertension,o Patient have nausea, vomiting and epigastric or right upper quadrant pain.o Patient has elevated liver enzymes (AST/ ALT > 70IU/L), LDH (>600IU/L) and bilirubin >1[?]2 mg/di